Decidual space is obliterated by:
1. 10 th week
2. 12 th week
3. 18 that week
4. 16 th week

Correct answer: 4. 16 th week

Explanation: Decidual space is the space between decidua capsularis and parietalis seen in early pregnancy because the gestational sac does not fill the uterine cavity. By 14-16 weeks the gestational sacred has enlarged to fill the uterine cavity completely by 4 th month (16 weeks). Ref: Datta Observe 9e pg 22.